In pigmented basal cell carcinoma, treatment of choice is
1. Chemotherapy
2. Radiotherapy
3. Cryosurgery
4. Excision

Correct answer: 4. Excision